STEPS is done for which of the following
1. Surveillance of evaluation of treatment of non communicable disease
2. Surveillance of mortality from non communicable disease
3. Surveillance of risk factors of non communicable disease
4. Surveillance of Incidence of non communicable disease

Correct answer: 3. Surveillance of risk factors of non communicable disease

Explanation: It's a WHO developed survey methodology known as "the STEPS Non-communicable Disease Risk Factors Survey" to help countries to establish NCD surveillance system. Ref- Park's textbook of Preventive and social medicine 25th edition.